High energy phosphates are produced in the following pathways except
1. HMP shunt
2. Oxidative pathway
3. Glycolysis
4. TCA cycle

Correct answer: 1. HMP shunt

Explanation: ATP is neither utilized nor produced by the HMP shunt pathway.Ref: DM Vasudevan, 6th edition, page no: 117